True about transamination reaction are all except-
1. Transfer of alpha amino group from alpha amino acid to keto acid
2. Alpha ketoglutarate is the most common receptor
3. Threonine does not undergo transamination
4. Biotin is required as a coenzyme.

Correct answer: 4. Biotin is required as a coenzyme.

Explanation: Pyridoxial phosphate is a coenzyme in transamination reaction.